Which of the following is used to study protein-protein interaction ?
1. Western blot
2. Affinity electrophoresis
3. Thin-layer chromatography
4. None

Correct answer: 2. Affinity electrophoresis

Explanation: Ans. is 'b' i.e., Affinity electrophoresis The most conventional and widely used high-through put methods for protein-protein interactions (PPI) are yeast two-hybrid screening and affinity purification coupled to mass spectroscopy. Other methods used to study PPI are :- LI Affinity electrophoresis Co-immunoprecipitation Protein microarrays Analytical ultracentrifugation Light scattering Fluorescence spectroscopy SPINE (strep-protein interaction experiment) LUMIER (luminescence-based mammalian intractome mapping) Calorimetry QUICK (quantitative immunoprecipitation combined with knock-down) BiFC (Biomolecular fluorescence complementation) PLA (Proximity ligation assay) Resonance energy transfer system Mammalian protein-protein interaction trap Surface plasma resonance Protein-fragment complementation assay Tandom affinity purification